Which of these drugs are a must in the management of dry socket?
1. Analgesics
2. Antibiotics
3. Antihistaminics
4. Antacids

Correct answer: 1. Analgesics

Explanation: Main aim of treatment of dry socket is pain control.